Which of the following is the most potent 2nd generation antihistamine?
1. Astemizole
2. Desloratadine
3. Promethozine
4. Fexofenadine

Correct answer: 2. Desloratadine

Explanation: Desloratidine, metabolite of loratadine is the most potent 2nd generation antihistamine.